When in labor, a diagnosis of occipito posterior presentation is made. The most appropriate management would be :
1. Emergency CS
2. Wait and watch for progress of labor
3. Early rupture of membranes
4. Start oxytoicn drip

Correct answer: 2. Wait and watch for progress of labor

Explanation: Ans. is b i.e. Wait and watch for progress of labour Occipito posterior positions "In practice about 5-10% of women admitted in labor with cephalic presentations present with occipito posterior presentations. Given time and patience, many of these will rotate and get corrected to occipito anterior position and deliver normally". This explains that a careful wait and watch policy should be adopted for occipito posterior position. Course of labour in Occipito Posterior Position: In 90% cases -- if uterine contractions are good and pelvis is favourable, occiput rotates through 3/8th of a circle and baby is born as occipito anterior. So, when diagnosis of occipito posterior presentation is made - labour is allowed to proceed in a manner similar to normal labour, in anticipation of normal vaginal delivery. indications of cesarean section in Occipito posterior position: Arrest of labour (failure of rotation) Incordinate uterine action Fetal distress